Thyroxine is used in the treatment of which thyroid cancer:
1. Medullary
2. Radiation induced
3. Anaplastic
4. Papillary

Correct answer: 4. Papillary